Zollinger-ellison syndrome is not associated with
1. Peptic ulcer disease
2. Elevated gastrin
3. Non B islet cell tumor of the pancreas
4. Decreased basal acid secretion

Correct answer: 4. Decreased basal acid secretion

Explanation: There is increased basal acid hypersecretion
Zollinger-ellison syndrome is associated with severe peptic ulcer disease